Long term fluctuation is
1. Secular
2. Cyclical
3. Seasonal
4. Periodic fluctuation

Correct answer: 1. Secular

Explanation: Ans. is 'a' i.., Secular